The subconjunctival cyst is seen in –
1. Toxoplasmosis
2. Cysticercosis
3. Leishmaniasis
4. Chap's disease

Correct answer: 2. Cysticercosis

Explanation: Parasitic cysts occurs in subconjunctival cysticercus, hydatid cyst and filarial cyst.